A person who has been arrested on charges of rape is brought to you. No requests for potency test/forensic examination has been produced by the police constable but the arrested person asks you to examine him and take evidences as he is innocent. What is your option in the scenario?
1. Wait for a request from a police officer not below the rank of SI
2. Wait for a court order asking you to do so
3. Examine the person and collect informations and samples after getting the consent
4. Tell him that is not possible since he is under arrest

Correct answer: 3. Examine the person and collect informations and samples after getting the consent

Explanation: As per Section 54 CrPC an arrested person at his request may be examined by a doctor to detect evidence in his favour. This is always important as false accusation may also have lead to the arrest. Also know: Section 53 CrPC - In case of a female, the examination should be made only by or under the supervision of a female registered medical practitioner. Ref: Textbook of Forensic Medicine and Toxicology by Narayan Reddy, Edition 21, Page - 42